Major sign for AIDS surveillance in WHO case definition ?
1. > 10% weight loss
2. Cough > 1 month
3. Generalized lymphadenopathy
4. Disseminated Herpes

Correct answer: 1. > 10% weight loss

Explanation: Ans. is 'a' i.e., > 10% weight loss WHO case definition for AIDS surveillance For the purpose of AIDS surveillance an adult or adolescent (six years of age) is considered to have AIDS if at least 2 of the following major signs are present in combination with one minor sign. Major Signs Weight loss > 10 % of body weight Chronic diarrhoea for more than 1 month Prolonged fever for more than 1 month Minor signs Persistent cough for more than one month Generalized pruritic dermatitis History of herpes zoster Chronic progressive or disseminated herpes simplex infection Generalized lymphadenopathy Oropharyngeal Candidiasis. Expanded WHO case definition for AIDS surveillance For the purpose of surveillance on adult or adolescent (>12 years of age) is considered to have AIDS if a test for HIV antibody gives a positive result and one or more of the following conditions are present : >10% body weight loss or cachexia, with diarrhoea or fever or both, for at least 1 month, not known to be due to a condition unrelated to HIV infection.